Most common dose related side effects of salbutamol?
1. Nervousness
2. Palpitations
3. Restlessness
4. Tremors

Correct answer: 4. Tremors

Explanation: ANSWER: (D) TremorsREF: KDT 7th ed p. 217The most common dose related side effect of salbutamol is tremors, Palpitations, restlessness, nervousness and restlessness are also seen.